Which of the following is associated with highest risk of anaphylaxis
1. Iron dextran
2. Iron sucrose
3. Ferumoxytol
4. Iron gluconate

Correct answer: 1. Iron dextran

Explanation: Ref Harrison 19 th ed pg 629 intravenous iron dextran, anaphylaxis is a con- cern. Anaphylaxis is much rarer with the newer preparations. The factors that have correlated with an anaphylactic-like reaction include a history of multiple allergies or a prior allergic reaction to dextran (in the case of iron dextran)